Virchows triad include all the following except
1. Stasis of blood
2. Abnormalities of venous channels
3. Hypercoagulability
4. Endothelial damage

Correct answer: 2. Abnormalities of venous channels

Explanation: Ans) b (Abnormalities...) Ref Bailey 25th ed pg 936Virchow described three factors important in the development of VENOUS THROMBOSIS.1) Changes in the vessels wall (endothelial damage)2) Stasis, which is diminished flow through the veins.3) Coagulability of blood (thrombophlebitis)So answer is abnormalities of venous channels which is not included in Virchows triad.Risk factors for venous thromboembolism(Very important) Refer Table (Bailey 25th edpg 936)